All of the following sphingolipidoses have autosomal recessive inheritance pattern except
1. Niemann - pick
2. Fabry's
3. Tay Sachs
4. Gauchers

Correct answer: 2. Fabry's

Explanation: Fabry's disease has Xlinked recessive pattern of inheritance.